Sign of basal skull fracture is all Except
1. Racoon eyes
2. Battle sign
3. Constricted pupil
4. Hemotympanum

Correct answer: 3. Constricted pupil

Explanation: Clinical evidence of a skull base fracture includes Battle's sign and racoon or panda eyes. Haemotympanum, or overt bleeding from the ear if the tympanic membrane has ruptured and CSF Rhinnorrhoea may also occur. Reference : Bailey & Love, 27th Edition, page no = 332.